The differential diagnosis of micro-angiopathic anemia includes all Except:
1. Sepsis
2. Hemolytic uremic syndrome
3. MI
4. Eclampsia

Correct answer: 3. MI

Explanation: Answer is C (Myocardial Infarction) Myocardial Infarction is not a cause for microangiopathic hemolytic anemia.